Earliest menopausal symptom is :
1. Hot flushes
2. Osteoporosis
3. Vaginal discharge
4. Spotting

Correct answer: 1. Hot flushes

Explanation: Hot flushes